Most common malignant mesenchymal tumor of liver is -
1. HCC
2. Cholangiocarcinoma
3. Angiosarcoma
4. Hepatoblastoma

Correct answer: 3. Angiosarcoma

Explanation: Answer- C. AngiosarcomaAngiosarcoma is the most common malignant mesenchymal neoplasm of the liver.